False about Deep Vein thrombosis is
1. Clinical Evaluation is most reliable
2. Bilateral DVT is common
3. Leg pain is most common symptom
4. Some People present 1st time with Pulmonary embolism

Correct answer: 1. Clinical Evaluation is most reliable

Explanation: Deep Vein thrombosis:- * MC presentation of DVT is Pain and swelling especially in calf. * Usually involves one leg only (Bilateral can happen in 30%) * Some patients with no symptoms of DVT can present 1st time with signs of Pulmonary embolism Eg.Chest pain, Hemoptysis, Shortness of Breath. * Clinical Examination is unreliable. Physical signs may also be absent. * Leg pain occurs in 50% and non-specific. * Pain and tenderness associated with DVT does not usually correlate with size, Location or Extent of the thrombus. * Clinical signs and Symptoms of Pulmonary Embolus occur in about 10% of patients with Confirmed DVT * The probability of developing Pulmonary embolus is given by a criteria known as 'Modified wells criteria'. Ref:- Bailey and Love 27th Edition; Pg num:- 987,988 Ref:- Bailey and Love 27th Edition; Pg num:- 987, 988